Which tumor is not seen in the anterior mediastinum -
1. Teratoma
2. Thymic tumors
3. Thyroid tumors
4. Neurofibroma

Correct answer: 4. Neurofibroma